Which arachidonic acid metabolite is vasoconstrictor?
1. TXA2
2. PGI2
3. PGD2
4. PGE2

Correct answer: 1. TXA2

Explanation: Ans. is 'a' i.e., TXA2